Urinary tract infection exists when the bacterial count in 1 ml. of midstream specimen of urine is -
1. 100
2. 1000
3. 10
4
4. 10
5
 or over

Correct answer: 4. 10
5
 or over